Kaplan Meier method is used for estimating :-
1. Incidence
2. Frequency
3. Prevalence
4. Survival

Correct answer: 4. Survival

Explanation: Kaplan Meier Survival Curve is used to estimate survival. -The area under the curve gives cumulative survival.